Bacterial species which is protective or beneficial to the host is
1. Streptococcus sanguis
2. Porphyromonas gingivalis
3. Treponema denticola
4. Spirochetes

Correct answer: 1. Streptococcus sanguis